All are true about entamoeba histolytica except:
1. Stool trophozoites are essential for diagnosis
2. Mostly asymptomatic
3. Cause disease in brain, liver
4. Infection does not provide immunity

Correct answer: 1. Stool trophozoites are essential for diagnosis

Explanation: Ans. (a) Stool trophozoites are essential for diagnosis Diagnosis of intestinal amoebiasis is suggested by presence of cyst or dead trophozoite in stool. A. Laboratory diagnosis of Intestinal amoebiasis Stool examination Stool Culture Media used Mucosal scrapings Serodiagnosis Molecular diagnosis Microscopy Macroscopy Iodine stained preparation preparations to demonstrate trophozoite or cyst Boeck and Drbohlav NIH polygenic Craig's Nelson's Robinson's Wet mount Stained preparation IHA ELISA Latex agglutination test DNA probe B. Laboratory diagnosis of amoebic liver abscess Microscopy of pus or aspirate Histopathological examination of pus or aspirate Serodiagnosis IHA ELISA Latex agglutination test Radiological examination X-ray USG CT scan MRI Stoolexamination